Blood supply of thoracic part of esophagus
1. Aorta
2. Inferior thyroid artery
3. Gastric artery
4. Superior thyroid artery

Correct answer: 1. Aorta

Explanation: Blood supply of thoracic part of oesophagus is aorta.